Quantity of Hb catabolised every day in a normal adult:
1. 8 gm
2. 10 gm
3. 12 gm
4. 13.3 gm

Correct answer: 1. 8 gm

Explanation: 8 gm